Which of the following is retroperitoneal?
1. Small intestine
2. Pancreas
3. Appendix
4. Esophagus

Correct answer: 2. Pancreas

Explanation: Ans: b) PancreasDuring development some organs grow into the peritoneal cavity and become intraperitoneal. Eg: Stomach, small intestine, liver, spleenSome organs develop behind the peritoneum and are called retroperitoneal organs like ureters and kidneySecondarily retroperitoneal organs are part of gastrointestinal tract begin as intraperitoneal organs then become attached to the abdominal wall during development. These are duodenum, pancreas, ascending colon and descending colon.INTRAPERITONEALRETROPERITONEALEsophagusDuodenumStomachPancreasJejunumAscending colonIleumDescendin colonCaecumUretersAppendixKidneySigmoid colonTransverse colon